All are included under paraphilic disorders except.
1. Homosexuality
2. Pedophile
3. Voyeurism
4. Exhibitionism

Correct answer: 1. Homosexuality

Explanation: Ans. aRef.: NMS Psychiatry, 5th editionOption aFNo, not considered under paraphiliac disordersOption bTYes, it is a paraphilic disorderOption cTYes, it is a paraphilic disorderOption dTYes, it is a paraphilic disorderOption eTYes, it is a paraphilic disorder1. Homosexuality: Homosexuality is not considered as an illness. It is considered to be a normal variant.2. Pedophilia or paedophilia is a psychiatric disorder in which an adult or older adolescent experiences a primary or exclusive sexual attraction to prepubescent children3. Voyeurism is the sexual interest in or practice of spying on people engaged in intimate behaviors, such as undressing, browsing the web, sexual activity, or other actions usually considered to be of a private nature4. Exhibitionism: A pattern of sexual conduct whereby the person exposes the genitals to other people in order to obtain sexual pleasure. The main criteria is self-harm imposed upon others.Note: It has to be distinguished from hypersexual disorders: which is recurrent and intense indulgement in sexual fantasies or sexual urges.5. Frotteurism: It is a paraphilic interest of rubbing the sexual organs, felt usually over last six months or more.It usually has two hypotheses, one being the higher sexual drive or another being the social incompetence hypotheses. These theories attempt to explain the basis of pathology however; the two may be coexistent or synergistic.